Safety muscle of tongue is
1. Hyoglossus
2. Genioglossus
3. Palatoglossus
4. Styloglossus

Correct answer: 2. Genioglossus